What is the symptom of a person with unilateral abductor paralysis:
1. Dyspnoea on exertion
2. Transient hoarseness
3. Husky voice
4. Inspiratory stridor

Correct answer: 2. Transient hoarseness

Explanation: Recurrent laryngeal nerve paralysis (unilateral) - Ipsilateral paralysis of al the intrinsic muscles except the cricothyroid. - Vocal cords in median or paramedian position does not move laterally on deep inspiration. C/F: - May pass undetected as about 1/3rd of the patients are asymptomatic. - Some have change in voice (Gradually improves d/t compensation by the healthy cord). - No aspiration or airway obstruction. Treatment: - No treatment required. Recovers in 6-12 months. However, inj. of Gel-foam or fat can be used to improve the voice. - Laryngoplasty type- 1 can be used if no improvement. - Teflon inj. is not used nowadays.